Depression occurs as a side effect due to the use of:
1. Reserpine
2. Propranolol
3. Morphine
4. Amphetamine

Correct answer: 1. Reserpine